Darlings disease is
1. Histoplasmosis
2. Phycomycosis
3. Actinomycosis
4. Bleomycosis

Correct answer: 1. Histoplasmosis